Alexithymia is:
1. A feeling of intense rapture
2. Pathological sadness
3. Affective flattening
4. Inability to recognise and describe feelings

Correct answer: 4. Inability to recognise and describe feelings

Explanation: D ref: Ahuja, 4th/e p. 13 and 5th/e p. 252